Colipase is an enzyme found in--------?
1. Saliva
2. Bile
3. Pancreatic juice
4. Succus entericus

Correct answer: 3. Pancreatic juice

Explanation: Pancreatic juice contains lipase, colipase, phospholipase A & B Colipase: Facilitates the action of lipase Prevents inactivation of lipase by bile salts SALIVA: 2 types of secretion 1. Serous: contains ptyalin (a amylase ) - digest carbs 2. Mucus: contains mucin - for lubrication & protection STOMACH: Mucus neck cells - secrete mucus Peptic/chief cells - Pepsinogen Parietal / oxyntic - HCL, intrinsic factor Pyloric glands - gastrin PANCREATIC JUICE: For protein : trypsin , chymotrypsin , carboxypolypeptidase Carbohydrates : pancreatic amylase Fat: pancreatic lipase, cholesterol esterase, phospholipase BILE: composition: Liver Bile Gallbladder Bile Water 97.5 g/dl 92 g/dl Bile salts 1.1 g/dl 6 g/dl Bilirubin 0.04 g/dl 0.3 g/dl Cholesterol 0.1 g/dl 0.3 to 0.9 g/dl Fatty acids 0.12 g/dl 0.3 to 1.2 g/dl Lecithin 0.04 g/dl 0.3 g/dl Na+ 145.04 mEq/L 130 mEq/L K+ 5 mEq/L 12 mEq/L Ca++ 5 mEq/L 23 mEq/L CI- 100 mEq/L 25 mEq/L HCO3- 28 mEq/L 10 mEq/L